"Pointing index" is due to paralysis of:
1. Median nerve
2. Ulnar nerve
3. Radial nerve
4. Auxiliary nerve

Correct answer: 1. Median nerve

Explanation: Ans. is 'a' i.e. Median nerve Pointing index:On asking the pt. to make a fist, it is noticed that the index finger remains straight.This is d/t Paralysis of the flexor digitorum superficialis and that of lateral half of the flexor digitorum profundus muscle (to the index finger) in median nerve palsy at a level of proximal to elbow.*Some other related questions:* Wrist drop is seen in*-Radial nerve palsy* Foot drop is seen in*-Common peroneal nv palsy.Winging of the scapula*Claw hand(Main -en -griffe):-Long thoracic nerve palsy.* Partial claw hand*-Ulnar nerve palsy* Complete claw hand*-Ulnar +Median nerve palsy* Ape thumb deformity*-Median nerve palsy* Pointing index*-Median nerve palsy* Policeman's tip deformity*-Also k/a Erb's paralysis d/t injury in the region of the upper trunk of the brachial plexus.Nerve roots involved are mainly C5 & partly C6.